Glucose is absorbed from?
1. Upper part of PCT
2. Ascending limb of LOH
3. Cortical Collecting duct
4. Medullary collecting duct

Correct answer: 1. Upper part of PCT

Explanation: - Tubular reabsorption a highly selective - Some substances like glucose, AA, Na+2, H20 is absorbed maximum from upper part of PCT As proximal tubule epithelial cells have: - Large number of mitochondria to support powerful active transport processes (highly metabolic) - Have brush borders & provide extensive surface area for absorption - As glucose is reabsorbed by secondary active transport, it is absorbed almost all by proximal convoluted tubule. Ascending limb of loop of Henle have: - Thin segment a moderate permeable to solutes increase permeable to H2O - Thick segment a virtually impermeable to H2O, permeable to solutes a diluting segment of nephron. Cortical collecting duct: - Contain principle cells => reabsorb Na+2 & secrete K+ - Intercalated cells => secrete / absorb H+, HCO3- & K+ ions based on PH Medullary collecting duct - Under ADH influence => Reabsorb H20 => | urine vol & |urine concentration - Permeable to urea, hence urea is reabsorbed into interstitium => increase osmolality of interstitium, helps in concentrating urine - Regulate acid base balance (by secreting H+ ions)